Hyperkalemia is due to all of the following except -
1. Alkalosis
2. Acute renal failure
3. Addison's disease
4. Excess hemolysis

Correct answer: 1. Alkalosis